Ectopic mucosa of Meckel's diverticulum is diagnosed by:
1. Tc-99 radionuclide scan
2. Angiography
3. CT
4. Endoscopy

Correct answer: 1. Tc-99 radionuclide scan

Explanation: MECKEL'S DIVERTICULUM Diagnosis Most accurate diagnostic test in children: Scintigraphy with sodium 99m Tc-pertechnetate. The 99mTc-pertechnetate is preferentially taken up by the mucus-secreting cells of gastric mucosa and ectopic gastric tissue in the diverticulum. (sensitivity-85%, specificity-95% and an accuracy-90 in the pediatric age group) Pentagastrin, H2 blockers and glucagon- enhance detection of ectopic gastric mucosa in Meckel's diverticulum by Tc-pertechnate scan. Glucagon- relaxes the smooth muscles of GIT and decreases peristalsis. Pentagastrin- potent stimulator of gastric secretions, increases uptake and secretion of pertechnetate by the gastric mucosa and stimulates gastrointestinal motility. Histamine H2 blockers (Cimetidine) block secretion from the cells and increase gastric mucosa uptake Less accurate in adults because of the reduced prevalence of ectopic gastric mucosa. In adult with normal nuclear medicine findings, barium studies should be performed.